Blue color of contusion is due to:
1. Bilirubin
2. Hemosiderin
3. Hematoidin
4. Deoxyhemoglobin

Correct answer: 4. Deoxyhemoglobin

Explanation: Ans. Deoxyhemoglobin